Insect in ear can be killed by:
1. Oil
2. H2O2
3. H2O
4. Petrol

Correct answer: 1. Oil

Explanation: Removal of Insect from ear canal Tilt the person's head so that the ear with the offending insect is upward. Try to float the insect out by pouring mineral oil, olive oil or baby oil into the ear. The oil should be warm but not hot. While pouring the oil, ease the entry of the oil by straightening the ear canal. Pull the earlobe gently backward and upward for an adult, backward and downward for a child. The insect should suffocate and may float out in the oil bath. Don't use oil to remove any object other than an insect. Do not use this method if there is any suspicion of a perforation in the eardrum -- pain, bleeding or discharge from the ear.